All of the following are 'red flag signs' for development EXCEPT?
1. Standing with support - 9 months
2. Waves bye bye - 12 months
3. Single words - 16 months
4. Walking without support - 18 months

Correct answer: 1. Standing with support - 9 months

Explanation: QRED Flag Signs of Developmental Delay: Gross motor Fine motor Sitting with support 9 monthsQ Pincer grasp 12 monthsQ Standing with support 12 monthsQ Scribbling 24 monthsQ Walking with support 15 months Walking without support 18 months Language Social Babbling 12 monthsQ Social smile 6 monthsQ Single words 16 monthsQ Waving bye bye 12 months Standing with support usually appears at 9 months. So it is considered a red flag sign if it does not appear by 12 months.